Nestritide is a -
1. Brain Natriuretic peptide analogue
2. Endothelin R antagonist
3. Gp Ilb/IIIa antagonist
4. INF-a antagonist

Correct answer: 1. Brain Natriuretic peptide analogue

Explanation: Ans. is 'a' i.e., Brain natriuretic peptide analogue